An army recruit, smoker and 6 months into training started complaining of pain at posteromedial aspect of both legs. There was acute point tenderness and the pain was aggravated on physical activity. The most likely diagnosis is:
1. Buerger's disease
2. Gout
3. Lumbar canal stenosis
4. Stress fracture

Correct answer: 4. Stress fracture

Explanation: (d) Gout- The hallmark physical finding is focal bone pain (tenderness) with palpation and stress. Also bilateral goes in favor of stress fracture.